A patient when asked about a particular topic, starts speaking irrelevant details that is totally needed and finally reaches the goal. this type of formal thought disorder is called as
1. loosening of assosiation
2. circumstantiality
3. flight of ideas
4. clang assosiation

Correct answer: 2. circumstantiality

Explanation: In normal individual when asked a question they will have a starting point and add some relevant details and then reach the goal. In circumstantial speech individual starts about a topic, adds minute irrelevant details , beats around the bush and finally reaches the goal. This is seen in ORGANIC BRAIN CONDITIONS In flight of ideas, the individual starts at a point, shifts the topic , subsequent thoughts will have some association but they will not reach goal. This is classical of MANIA In loosening of association, patient comes with random thoughts that is not connected to each other and the goal is not reached. This is classical of schizophrenia * Neologism= they will introduce new words that are not present in one's dictionary , seen in SCHIZOPHRENIA clang, ====subsequent words will have rhyming seen in MANIA Ref. Kaplon and sadock, synopsis of psychiatry, 11th edition, pg No.195